A young male patient presents with LDL 600mg/dl, triglycerides 140 mg/dl. What would be the most likely finding on physical examination
1. Tendon xanthoma
2. Planar xanthoma
3. Lipemia retinalis
4. Tuberoeruptive xanthoma

Correct answer: 1. Tendon xanthoma

Explanation: A i.e. Tendon Xanthoma